The following statements are true regarding botulism except -
1. Infant botulism is caused by ingestion of preformed toxin
2. Clostridium botulinum A, B, C and F cause human disease
3. The gene for botulinum toxin is encoded by a bacteriophage
4. Clostridium baratti may cause botulism

Correct answer: 1. Infant botulism is caused by ingestion of preformed toxin

Explanation: Ans. is 'a' i.e., Infant botulism is caused by ingestion of preformed toxin . Infant botulism is caused by ingestion of spores. Spores are ingested in food, get established in the gut and there produce the toxin. "Seven main types of C. botulinum, designated A - G, produce antigenically distinct toxins with pharmacologically identical action. All types can cause human disease, but type A, B and E are most common". (In Harrison & Ananthanarayan, eight types of C. botulinum A, B, CI, C2, D, E, F, G have been mentioned). . Toxin production in clostridium botulinum appears to be determined by presence of bacteriophage (at least in type C & D). . "Clostridium butyricum and clostridium baratti have also been found to produce toxin". - Harrison 16th/e 843 - Any strain producing toxin will obviously cause botulism.